What is the most common complication in recurrent anterior uveitis –
1. Staphyloma
2. Glaucoma
3. Cataract
4. Vitreal haemorrhage

Correct answer: 3. Cataract

Explanation: The most common complication of recurrent anterior uveitis is a cataract.